All are caused by Parvo virus infection except:
1. Erythema infectiosum
2. Gianotti crosti syndrome
3. Aplastic crisis
4. Papular- purpuric gloves and socks syndrome (PPGSS)

Correct answer: 2. Gianotti crosti syndrome

Explanation: Diseases caused by Parvo virus B19- Erythema infectiosum (most common) Transient arrest of erythropoiesis (aplastic crisis) Papular purpuric "gloves-and-socks" syndrome (PPGSS) Gianotti-Crosti syndrome:- Atopic dermatitis like rash on cheeks with multiple erythematous papules Associated with EBV infection.